Enlarging dot sign in fundus fluorescein scanning is seen in –
1. Cystoid macular edema
2. Central serous retinopathy
3. Significant macular edema
4. Coat's disease

Correct answer: 2. Central serous retinopathy

Explanation: Ink- blot sign or enlarging dot sign is seen in central serous retinopathy